A 62-year-old man is incapable of penile erection after rectal surgery with prostatectomy. The patient most likely has a lesion of which of the following nerves?
1. Dorsal nerve of the penis
2. Perineal nerve
3. Hypogastric nerve
4. Pelvic splanchnic nerve

Correct answer: 4. Pelvic splanchnic nerve

Explanation: The pelvic splanchnic nerve contains preganglionic parasympathetic fibers, whereas the sacral splanchnic nerve contains preganglionic sympathetic fibers. Parasympathetic fibers are responsible for erection, whereas sympathetic fibers are involved with ejaculation. The right and left hypogastric nerves contain primarily sympathetic fibers and visceral sensory fibers. The dorsal nerve of the penis and the perineal nerve provide sensory nerve fibers